Enzyme responsible for respiratory burst reaction
1. Dehydrogenase
2. Peroxidase
3. Hydroxylase
4. NADPH - oxidase

Correct answer: 4. NADPH - oxidase

Explanation: D i.e. NADPH - oxidase